Drug that crosses placenta is:
1. Isoniazid
2. Rifampicin
3. Pyrazinamide
4. All

Correct answer: 4. All

Explanation: Ans. (D) All(Ref: KDT 18th/e p818-819)All first line antitubercular drugs can cross placenta. Streptomycin is contraindicated in preganancy whereas other drugs are found to be safe.